Cell surface markers expressed by both TH1 cells and macrophages include:
1. Immunoglobulin
2. CD3
3. TCR
4. MHC Class I

Correct answer: 4. MHC Class I

Explanation: Ans. D. MHC Class Ia. Class I antigens are expressed on all nucleated cells and platelets.b. Hence both T helper cells and macrophages will express MHCI.